Cart Wheel sign is seen in:
1. ASOM
2. Glomus
3. OME
4. CSOM

Correct answer: 1. ASOM

Explanation: (a) ASOM(Ref. Hazarika, 3rd ed., 149)In Glomus "rising sun sign" or "red reflex" is seen.In Otitis media with effusion (OME) TM appears dull, retracted and sometimes bluish.In CSOM the TM will be perforated